1st Carpal bone to ossify:
1. Trapezoid
2. Capitate
3. Lunate
4. Pisiform

Correct answer: 2. Capitate

Explanation: (b) CapitateOssification of the Carpal BonesOssification of the carpal bones occurs in a predictable sequence, starting with the capitates and ending with the pisiform.At birth, there is no calcification in the carpal bones. Although there is great individual variability, approximate ossification times are as follows:* Capitate: 1-3 months* Hamate: 2-4 months* Triquetrum: 2-3 years* Lunate: 2-4 years* Scaphoid: 4-6 years* Trapezium: 4-6 years* Trapezoid: 4-6 years* Pisiform: 8-12 years